The preferred agent for base formation below restorative 
resin is:
1. Calcium hydroxide
2. Cavity varnish
3. Zinc oxide-eugenol cement
4. None of the above

Correct answer: 1. Calcium hydroxide